True about measles are all except -
1. Koplik's spots is pathognomonic
2. Source is a case
3. Infectivity is low
4. Affect age group 1 to 3 years

Correct answer: 3. Infectivity is low

Explanation: Ans. is 'c' i.e., Infectivity is low o Measles has high infectivity with secondary attack rate of 80%. o Other options are correct. Measles o Measles is caused by a RNA virus of paramyxovirus family, o Measles in also known as rubeola. o The only source of infection is a case of measles, carriers are not known to occur. o Infective period - 4 days before and 5 days after the appearance of rash. o Infective material - Secretions of nose, throat and respiratory tract o Age group - 6 month to 3 years. o Immunity - One attack of measles generally confer life long immunity'. o Transmission - 1) Droplet infection through respiratory' tract 2) Infection through conjuctiva. o Incubation period - 10 days from exposure to onset of fever. 14 days from exposure to appearance of rash. 7 days for live vaccine of measles. o Clinical manifestations Prodromal stage Begins 10 days after the infection and lasts until day 14. Characterized by fever, coryza with sneezing and nasal discharge, redness of the eyes, lacrimation and photophobia. A day or two before the appearance of rash, Koplik's spots appear on buccal mucosa opposite the 1st and 2nd lower molars. Koplik's spots are pathognomonic of measles. Eruptive phase Maculopapufar rash which begins behind the ear and spread rapidly in a few hour over the face and neck extends down the body. Post measles stage y Weight loss y Growth retardation y Diarrhea y Cancrum oris y Reactivation of pulmonary TB y Candidiasis